Falsely elevated HbA1C is seen in?
1. Thalassemia
2. Recovery from acute blood loss
3. Erythropoietin supplementation in CKD
4. Splenectomy

Correct answer: 4. Splenectomy

Explanation: HbA1C values are affected by conditions that affect RBC survival or mean erythrocyte age. Falsely low HbA1C Falsely elevated HbA1C Recovery from acute blood loss Haemolytic anaemia IV iron EPO injections for CKD Vitamin C supplements Vitamin E supplements Splenectomy Iron deficiency Anaemia